Small intestine in intestinal obstruction is distinguished radiologically from large intestine by-
1. Haustration
2. Valvulae conniventes
3. Can not be distinguished
4. None

Correct answer: 2. Valvulae conniventes